The most common side-effect of chemotherapy administration is -
1. Nausea
2. Alopecia
3. Myelosuppression
4. Renal dysfunction

Correct answer: 1. Nausea

Explanation: Side effects are unpredictable and depend on the type of chemo drug a person is using. Illness, easy bruising or bleeding, and hair loss are some of the most common side effects. Other common side effects include: nausea and vomiting Ref Harrison 20th edition pg 563